Sclerotic bodies are associated with:
1. Mycetoma
2. Chromoblastomycosis
3. Sporotrichosis
4. Rhinosporidiosis

Correct answer: 2. Chromoblastomycosis

Explanation: Ans. b. Chromoblastomycosis